The most common side effect of IUD insertion is-
1. Bleeding
2. Pain
3. Pelvic infection
4. Ectopic pregnancy

Correct answer: 1. Bleeding

Explanation: Ans. is 'a' i.e., Bleeding